Which of the following is the characteristic of irreversible injury on electron microscopy -
1. Disruption of ribosomes
2. Amorphous densities in mitochondria
3. Swelling of Endoplasmic reticulum
4. Cell swelling

Correct answer: 2. Amorphous densities in mitochondria

Explanation: . Amorphous densities in mitochondria